A physician, after examining a group of patients of a certain disease, classifies the condition of each one as 'Normal', 'Mild', 'Moderate' or 'Severe'. Which one of the following is the scale of measurement that is being adopted for classification of the disease condition?
1. Normal
2. Interval
3. Ration
4. Ordinal

Correct answer: 4. Ordinal

Explanation: In the given question, a physician, after examining a group of patients of a certain disease, classifies the condition of each one as 'Normal', 'Mild', 'Moderate' or 'Severe'. 'Normal-mild-moderate-severe' is a continuum of outcome for a variable, thus is measured on an Ordinal scale.